Disposable syringes are sterilized by ?
1. Autoclave
2. Cidex (2% glutaraldehyde)
3. Ethylene oxide
4. Hot air oven

Correct answer: 3. Ethylene oxide

Explanation: Ans. is 'c' i.e., Ethylene oxide "Ethylene oxide used mainly by industry for the sterilization of plastic and other thermolabile material that can not withstand heating" -- Greenwood 16th/e p. 74. Other methods for sterilization of heat labile instruments Ionizing radiation Formaldehyde in combination with subatmospheric steam.